The predominant cell type in gingival crevicular fluid is the :
1. Mast cell
2. Plasma cell
3. Macrophage
4. Polymorphonuclear leukocyte

Correct answer: 4. Polymorphonuclear leukocyte